Optic neuritis is caused by -
1. Ethambutol
2. Pyrazinamide
3. Rifampicin
4. Chlormycetin

Correct answer: 1. Ethambutol

Explanation: Ans. is 'a' i.e., Ethambutol